Unilateral papilloedema with optic atrophy on the other side is a feature of
1. Fisher syndrome
2. Foster-kennedy syndrome
3. WAGR syndrome
4. Vogt-Kayanagi-Harada syndrome

Correct answer: 2. Foster-kennedy syndrome

Explanation: (Foster kennedy syndrome): Ref: 241-P, 285-KH (34-KH 4th) (545-Ghai 7th)* Unilateral papilloedema with or without optic atrophy on the other side suggests a tumour of the opposite olfactory groove or orbital surface of the frontal lobe or of the pituitary body - FOSTER - KENNEDY - SYDNROME